All are true regarding bone remodelling, EXCEPT:
1. It involves the replacement of lamellar bone by woven bone
2. Osteoclastic activity at the resorption site
3. Osteoclastic activity and osteoblastic activity are both needed for bone remodelling in cortical and cancellous bones.
4. Osteoblasts transforms into osteocytes

Correct answer: 1. It involves the replacement of lamellar bone by woven bone

Explanation: Bone remodelling involves the replacement of woven bone by lamellar bone in various shapes and arrangements. Osteoblasts that are trapped in the matrix become osteocytes. Two lines of cells, osteoclasts and osteoblasts, are responsible for bone remodelling. Osteoclasts are derived from monocytes and are large multinucleated cells that remove bone. They are located on the resorption surfaces of the bone. Osteoblasts are mononuclear and are responsible for the accretion of bone. Ref: Smith W.R., Agudelo J.F., Parekh A., Shank J.R. (2006). Chapter 3. Musculoskeletal Trauma Surgery. In H.B. Skinner (Ed), CURRENT Diagnosis & Treatment in Orthopedics, 4e.